All are risk factors of esophageal squamous cell carcinoma except:
1. GERD
2. Achalasia cardia
3. Alcohol
4. Smoking

Correct answer: 1. GERD

Explanation: GERD is risk factor for Adenocarcinoma esophagus Risk Factors for SCC Esophagus - Alcohol - Smoking - Zenker's diverticula - Achalasia cardia - Intake of Nitrites Nitrates Nitrosamine - Fungal toxins - HPV infections (16, 18, 31, 33) - Plummer- Vinson syndrome - Hot liquid ingestion - Tylosis Palmaris & Plantaris - Deficiency of MO - Molybdenum Z - Zinc A -VITAMIN A - Bulimia nervosa